Asbestosis of the lung is associated with all of the following except -
1. Mesothelioma
2. Progression of lesion even after stopping exposure to asbestos
3. Nodular lesions involving upper lobe
4. Asbestos bodies in sputum

Correct answer: 3. Nodular lesions involving upper lobe

Explanation: Pulmonary changes in asbestos exposure 

Pleural plaques are the most common manifestation of asbestos exposure. They are well-circumscribed plaques of dens college, often containing calcium. They develop most frequently on the anterior and posterolateral aspects of parietal pleura and over the dome of the diaphragm.
There is diffuse interstitial fibrosis mainly involving lower lung fields. The involved part contains asteroid bodies → golden brown, fusiform or beaded rods with a translucent centre and consist of asbestos fibers coated with an iron-containing proteinaceous material.
Other inorganic particulates may become coated with similar iron protein complexes and are called ferruginous bodies.

Option "B"

Asbestosis is a pneumoconiosis caused by exposure to asbestos (a commercial name given to certain types of fibrous material).
The disease occurs at least 5 to 10 yrs. after exposure.
In many cases, the disease presents itself years after the exposure has ceased.